All are zoonotic disease EXCEPT
1. Brucellosis
2. Leptospirosis
3. Scabies
4. Rabies

Correct answer: 3. Scabies

Explanation: [Cl (Rabies) (642- Park 19th) (692-Park 20th)LISTS OF ZOONOTIC DISEASES IN MANA. Bacterial InfectionsAnthrax, Brucellosis, Ornithosis, Q-fever, Leptospirosis, Tuberculosis, PlagueB. Viral InfectionsCow pox, Monkey pox, Eastemequine encephalitis, Ross-river fever, Yellow fever, JE, Lassa fever, RabiesC. Protozoal InfectionsLeishmaniasis, Toxoplasmosis, Trypanosomiasis, BabesiosisD. Helminthic InfectionsClonorchiasis, Fasciolopsis, Schistosomiasis, Echinococcosis, Taeniasis, Trichinellosis